A 4-year-old girl sustained an isolated, closed, diaphyseal fracture of her left femur in a motor vehicle accident. The fracture was transverse with approximately 1.5 cm of shortening. The most appropriate definitive management of this fracture is
1. Skeletal traction
2. Immediate application of a hip spica cast
3. Skeletal traction for 2 weeks followed by application of a hip spica cast
4. External skeletal fixation

Correct answer: 2. Immediate application of a hip spica cast

Explanation: Isolated, closed femoral shaft fractures in children under 10 years of age are best managed by immediate closed reduction and application of a spica cast.